Auditory fatigue occurs at
1. 50dB
2. 60 dB
3. 80 dB
4. 90 dB

Correct answer: 4. 90 dB

Explanation: Ans. is 'd' i.e., 90 dB